Putrefaction is delayed in all, except:
1. Warm moist atmosphere
2. Carbolic acid poisoning
3. Anemia
4. Heavy metal poisoning

Correct answer: 1. Warm moist atmosphere

Explanation: Ans. Warm moist atmosphere